Brodie-Trendelenburg test is positive in:
1. Deep vein thrombosis
2. Sapheno-femoral incompetence
3. Thromboangitis obliterans
4. Below-knee perforators incompetency

Correct answer: 2. Sapheno-femoral incompetence

Explanation: Ans. B: Sapheno-femoral Incompetence A test to assess the competence of the sapheno-femoral junction (sfj). Some textbooks refer to the trendelenburg test and the tourniquet test interchangeably. However, other sources describe the trendelenburg test as being essentially identical to the tourniquet test, but finger pressure is used to occlude the sfj instead of a tourniquet